The fascial spaces involved in Ludwig's angina are
1. Unilateral -submandibular & sublingual spaces
2. Bilateral - submandibular & sublingual spaces
3. Unilateral - submandibular, sublingual & submental spaces
4. Bilateral -submandibular, sublingual & submental spaces

Correct answer: 4. Bilateral -submandibular, sublingual & submental spaces